Most common inherited bleeding disorder:
1. Bernard soulier
2. Glanzmann thrombasthenia
3. ITP acute
4. Von wilebrand disease

Correct answer: 4. Von wilebrand disease

Explanation: Von Willebrand disease (VWD) is the most common inherited bleeding disorder.
It is autosomal dominant, and its prevalence is estimated to be as high as 1 case per 1000 population.